How many teeth are present in a 3 year old child?
1. 14
2. 20
3. 24
4. 32

Correct answer: 2. 20

Explanation: Ans. is 'b' i.e., 20 * Temporary teeth, (milk teeth or deciduous teeth) start appearing at about 6 months, are 20 in number: being 4 incisors, 2 canines and 4 molars in each jaw. They start shedding at about 6 years, when permanent teeth start appearing.* Eruption of Primary teath is complete by 20-30 months of age. Thus, at 3 years there are 20 teeth.* Permanent teeth are 32 in number: being 4 incisors, 2 canines (cuspids), 4 premolars (bicuspids), and 6 molars (tricuspids), in each jaw. 6 permanent molars which erupt extra in each jaw without replacing any teeth are called superadded permanent teeth, while all other permanent teeth are successional permanent teeth.